Ocular muscle involved in Marcus Gun jaw winking phenomenon is -
1. Orbicularis oculi
2. Levator palpebrae
3. Medial rectus
4. Lateral rectus

Correct answer: 2. Levator palpebrae

Explanation: Congenital synkinetic ptosis (Marcus Gunn jaw winking ptosis). In this condition there occurs retraction of the ptotic lid with jaw movements i.e., with stimulation of ipsilateral pterygoid muscle. It is due to the mixing of the fibres of 5th and 3rd cranial nerves. Ref:AK Khurana 4thE pg356